Eosinophilic ovoid intranuclear inclusion bodies seen in herpes infection is called as:
1. Lipschutz bodies.
2. Rushton bodies.
3. Howell jolley bodies.
4. None

Correct answer: 1. Lipschutz bodies.